Which of the following liver tumor had a propensity to invade the portal or hepatic vein
1. Cavernous hemangioma
2. Hepatocellular carcinoma
3. Focal nodular hyperplasia
4. Hepatic adenoma

Correct answer: 2. Hepatocellular carcinoma

Explanation: HCC derive its blood supply from hepatic artery HCC is characterized by being hyper dense on the arterial phase of contrast imaging, meaning that they have more arterial perfusion Arterial perfusion of HCC also allows for treatment of the lesion embolization of feeding artery Characteristic of HCC : Propensity to invade the portal vein Risk of portal vein invasion appears to correlate with tumor size and differentiation Outcome of patients with portal venous invasion is worse than that of patients whose tumor does not invade the portal vein Ref: Sabiston 20th edition Pgno : 1458-1463